Most important element in treatment of diphtheria -
1. Antitoxin
2. Tetracycline
3. Erythromycin
4. Penicillin

Correct answer: 1. Antitoxin